The worst prognosis for renal cell carcinoma is
1. Vascular invasion
2. Associated with hypercalcemia
3. Presence of Hematuria
4. Size more than 5 cm.

Correct answer: 1. Vascular invasion